Simple febrile seizure is defined as
1. Focal seizure
2. Seizure lasts < 30 min
3. Seizure within 24 hours of fever onset
4. All of the above

Correct answer: 3. Seizure within 24 hours of fever onset

Explanation: Simple / typical Febrile seizures

Single episode of generalised seizures
It lasts < 15 min
Seizure within 24 hours of fever onset
No recurrence within 24 hours period.